Mechanism by which pyruvate cytosol is transported to mitochondria is
1. Chloride antiport
2. Proton symport
3. ATP dependent antiport
4. Facilitated uniport

Correct answer: 2. Proton symport

Explanation: Repeated question